Dolicocephalic facial pattern is associated with:
1. Broad dental arch
2. Long and narrow dental arch
3. Paraboloid dental arch
4. Square dental arch

Correct answer: 2. Long and narrow dental arch